In magil circuit airflow is –
1. 1/2 of minute volume
2. equal to M.V.
3. 2 x m.v.
4. 3 x m.v.

Correct answer: 2. equal to M.V.

Explanation: "For Mapleson Type A (Magill) circuit fresh gas flow should be equal to minute volume (5 L/min) to prevent rebreathing when patient is spontaneously breathing".